Coxsackie virus is implicated in
1. Herpes zoster
2. Measles
3. Small pox
4. Hand, Mouth & foot disease

Correct answer: 4. Hand, Mouth & foot disease